Which of the following design characteristics of a partial denture is most important to oral health:
1. Bracing
2. Support
3. Stability
4. Retention

Correct answer: 2. Support